The average width of enamel rods is
1. 10 microns
2. 5 microns
3. 2 microns
4. 0.5 microns

Correct answer: 2. 5 microns